In low blood pressure, the kidney secretes
1. Cortisol
2. ADH
3. Aldosterone
4. Renin

Correct answer: 4. Renin

Explanation: (Renin): Ref: 245-SL, 245-G (670- Ganong 23rd)RENIN: - is a glycoprotein hormone secreted by the granular cells (Juxtaglomerular cells) of juxtaglomerular apparatusSecretion of renin is stimulated by four factors1. Fall in arterial blood pressure2. Reduction in the volume of extracellular fluid3. Increased sympathetic activity4. Decreased load of sodium and chloride in macula densaVasopressin (ADH) secreted by mainly by (supraoptic nucleus of hypothalamusVasoprossin secretion increasedVesopressin secretion decreased* Increased effective osmotic pressure of plasma* Decreased extracellular fluid volume* Pain, emotion, stress exercise* Nausea and vomiting* Standing* Clofibrale, carbamazepine* Angiotensin II* Decreased effective osmotic pressure of plasma* Increased extracellular fluid volume* Alcohol